True about U waves is all except
1. It is due to Delayed repolarisation of Purkinje fibres
2. Maximum normal amplitude of the U wave is 1-2 mm
3. The U wave normally goes in the opposite direction as the T wave
4. U waves generally become visible when the heart rate falls below 65 bpm

Correct answer: 3. The U wave normally goes in the opposite direction as the T wave

Explanation: The U wave normally goes in the same direction as the T waveU -wave size is inversely proportional to heart rate: the U wave grows bigger as the heart rate slows downU waves generally become visible when the heart rate falls below 65 bpm